Wilm's tumour is associated with all of the following Except
1. Hemihypertrophy
2. Aniridia
3. Hypertension
4. Bilateral polycystic kidney

Correct answer: 4. Bilateral polycystic kidney

Explanation: Wilms' Tumour (Synonym: Nephroblastoma) Nephroblastoma or Wilms' tumor is an embryonic tumor derived from primitive renal epithelial and mesenchymal components. It is the most common abdominal malignant tumor of young children ETIOLOGY AND PATHOGENESIS. Wilms' tumor has the following etiologic associations: defect in chromosome 11p13 A higher incidence has been seen in monozygotic twins and cases with family history. Association of Wilms' tumor with some other congenital anomalies have been observed, especially of the genitourinary tract. A few other malignancies are known to have a higher incidence of Wilms' tumor. These include osteosarcoma, botryoid sarcoma, retinoblastoma, neuroblastoma, etc It is generally solitary and unilateral but 5-10% of cases may have a bilateral tumor. Invasion into the renal vein is grossly evident in half the cases. Microscopically, nephroblastoma shows a mixture of primitive epithelial and mesenchymal elements. Most of the tumor consists of small, round to spindled, anaplastic, sarcomatoid tumor cells. In these areas are present abortive tubules and poorly-formed glomerular structures. Mesenchymal elements such as smooth and skeletal muscle, cartilage and bone, fat cells and fibrous tissue, may be seen. CLINICAL FEATURES. The most common presenting feature is a palpable abdominal mass in a child. Other common abnormalities are haematuria, pain, fever, and hypertension. The tumor rapidly spreads blood, especially to the lungs. Ref: TEXTBOOK OF PATHOLOGY 6th EDITION - HARSH MOHAN PAGE NO: 697